All are seen in Hemolytic anemia except:
1. Hemosiderinuria
2. Reticulocytosis
3. Spherocytosis
4. Increased haptoglobin

Correct answer: 4. Increased haptoglobin

Explanation: Answer is D (Increased Haptoglobin) Hemoglobin binding proteins such as Haptoglobin are reduced or absent. Characteristic features of Hemolytic Anemia: Increased red cell breakdown Serum bilirubin is |ed (unconjugated hiliruhin |edd)C) Urine urobilinogen is |ed Q Fecal stercohilinogen is |ed Q Hemoglobinemia / Hemoglobinuria Q :Vfethemoglohinemiac) Hemosiderinuria Hemoglobin binding proteins Q such as Haptoglobin and Hemopexin are reduced or absent. Q Plasma Lactic dehydrogenase (LDH) is Compensatory increase red cell production Reticulocvte count is fed Routine blood jilm shows a variety of abnormal morphological types of red cells - Schistocytes - SpherocytesQ etc. Bone narrow shows erythroid hyper plasia with raised iron stores.Q X Rays of hones show : Evidence of expansion of marrow space, especially in tubular hones & in skullQ - Bossing of skull()